Features of cystic fibrosis
1. Lung normal at birth
2. Low sweat choride tests
3. Autosomal dominant
4. Defect in Chromosome 11

Correct answer: 1. Lung normal at birth

Explanation: The sweat chloride is high(>60 mEq/L) Defect in long arm of chromosome 7 Autosomal recessive condition. Ref : Essential pediatrics,O.P.Ghai,7 th edition,pg no:369